MC type of ca vulva is:
1. Squamous cell carcinoma
2. Melanoma
3. Adenocarcinoma
4. Adenosquamous carcinoma

Correct answer: 1. Squamous cell carcinoma

Explanation: Ans. is 'a' i.e., Squamous cell carcinoma * MC variety of vulvar cancer= Squamous cell carcinoma.* MC site= labia (majora and minora) followed by clitoris.* Risk factors for Ca vulva=HPV infection, cigarette smoking, lichen sclerosis, squamous hyperplasia, VIN.* Most patients are asymptomatic at the time of diagnosis.